True about primary aldosteronism
1. Pedal oedema
2. Increased rennin
3. Increased Na+
4. All

Correct answer: 3. Increased Na+

Explanation: Answer is C (Increased Na+) Primary Aldosteronism (Conn's syndrome) is associated with Hypertension, Hypernatremia ( tNa+) and Hypokalemia (iK+)